All are hypercoagulable states, except :
1. Protein C resistance
2. Factor V Leiden deficiency
3. Antiphospholipid antibody
4. Polycythemia

Correct answer: 2. Factor V Leiden deficiency

Explanation: Answer is B (factor V Leiden deficiency) Factor V Leiden mutation (or T Factor V Leiden levels) are associated with a hypercoaguable state and not a Factor V Leiden deficiency. Inherited Defective inhibition of coagulation factors Factor V Leiden (resistant to inhibition by activated protein C) - Antithrombin III deficiency (or resistance) - Protein C deficiency (or resistance) - Protein S deficiency (or resistance) - Prothrombin gene mutation (G20210A) Impaired clot lysis - Dysfibrinogenemia - Plasminogen deficiency - PA deficiency - PAI-I excess Uncertain mechanism - Homocystinuria Acquired Diseases or syndromes Lupus anticoagulant/anticardiolipin antibody syndrome Malignancy - Myeloproliferative disorder - Thrombotic thrombocytopenic purpura - Estrogen treatment Hyperlipidemia - Diabetes mellitus Hyperviscosity - Nephrotic syndrome - Congestive heart failure - Paroxysmal nocturnal hemoglobinuria Physiologic states - Pregnancy (especially postpartum) - Obesity - Postoperative state - Immobilization - Old stage